Ebstein anomaly is due to maternal intake of:
1. Lithium
2. Copper
3. Cobalt
4. Nickel

Correct answer: 1. Lithium

Explanation: a. Lithium(Ref: Nelson's 20/e p 2211-2217, Ghai 8/e p 420-423)Maternal drugCongenital heart diseasePhenytoinVSD, ASD, coarctation of aorta, PDAValproateCoarctation of aorta, aortic stenosis, pulmonary atresia, VSDLithiumEbstein anomaly, Tricuspid atresiaAlcoholASD. VSD